Flowing Candle Wax appearance seen in
1. Myositis ossificans
2. Leri Ossificans
3. Caffey's Disease
4. Parosteal Osteosarcoma

Correct answer: 2. Leri Ossificans

Explanation: Dripping candle wax sign, also known as flowing candle wax appearance, describes the appearance of sclerotic cortical thickening in melorheostosis/LERI disease. The irregular cortical hyperostosis typically occurs on one side of the involved bone and undulates along much like melted wax down a candle.